An old man Baba comes to you and is diagnosed to be having benign hypertrophy of prostate. The drug which provides faster and greater symptomatic relief to this patient will be:
1. Terazosin
2. Desmopressin
3. Finasteride
4. Sildenafil

Correct answer: 1. Terazosin